Thorium induced tumor
1. Angiosarcoma of liver
2. Renal cell carcinoma
3. Lymphoma
4. Astrocytoma

Correct answer: 1. Angiosarcoma of liver

Explanation: Refer Robbins page no Pg 875